All are true for sickle cell anemia, except -
1. Pulmonary arterial hypertension
2. Fish vertebra
3. Leukopenia
4. Increased size of heart

Correct answer: 3. Leukopenia